Flashback is characteristic of :
1. Hypomania
2. Post traumatic stress disorder
3. Postnatal depression
4. Grief reaction

Correct answer: 2. Post traumatic stress disorder

Explanation: Recollection of the stressful event in images / thought / perceptions (i.e. flash back) is seen in PTSD.